Illusions are a disorder of
1. Cognition
2. Perception
3. Emotion
4. Eye

Correct answer: 2. Perception

Explanation: Read definitions of sensation, perception, Also know types of perceptual differences